All of the following are true about larynx in neonate except
1. Epiglottis is large and omega shaped
2. Tongue is small in comparison to oral cavity
3. Cricoid narrowest part
4. Funnel shaped

Correct answer: 2. Tongue is small in comparison to oral cavity

Explanation: PAEDIATRIC LARYNX The larynx of an infant differs considerably from that of an adult and has a great clinical significance. 1. Infant's larynx is positioned high in the neck level of glottis being opposite to C3 or C4 at rest and reaches C1 or C2 during swallowing. This high position allows the epiglottis to meet soft palate and make a nasopharyngeal channel for nasal breathing during suckling. The milk feed passes separately over the dorsum of tongue and the sides of epiglottis, thus allowing breathing and feeding to go on simultaneously. 2. Laryngeal cartilages are soft and collapse easily. Epiglottis is omega shaped and arytenoids relatively large covering significant portion of the posterior glottis. 3. Thyroid cartilage in an infant is flat. It also overlaps the cricoid cartilage and is in turn overlapped by the hyoid bone. Thus cricothyroid and thyrohyoid spaces are narrow and not easily discernible as landmarks when performing tracheostomy. 4. Infant's larynx is small and conical. The diameter of cricoid cartilage is smaller than the size of glottis, making subglottis the narrowest part. 5. Submucosal tissues of infant's larynx are comparatively loose and easily undergo oedematous change with trauma or inflammation leading to obstruction. Ref:- Dhingra; pg num:-285